In liver, ethanol is converted to -
1. Methyl alcohol
2. Pyruvate
3. Acetaldehyde
4. Oxaloacetate

Correct answer: 3. Acetaldehyde

Explanation: Ans. is 'c' i.e.. Acetaldehyde o Normally alcohol is metabolized by oxidation in liver.